Optimal value of glycosylated haemoglobin in a diabetic women preconceptionally is
1. <6.5 %
2. <7.5%
3. <8.1%
4. <9%

Correct answer: 1. <6.5 %

Explanation: With overt diabetes, the embryo, fetus, and mother frequently experience serious complications directly attributable to diabetesTo minimize early pregnancy loss and congenital malformations in offspring of diabetic mothers, optimal medical care and education are recommended before conception The National Preconception Health and Healthcare Initiative Clinical Workgroup for the CDC established values for optimal glycemic control. This was defined as HbA1c <6.5 percent in women with pregestational diabetes.The ADA (2017b) has also defined optimal pre-conceptional glucose control using insulin. Reflective values are self-monitored preprandial glucose levels of 70 to 100 mg/dL, peak 2-hour postprandial values of 100 to 120 mg/dL, and mean daily glucose concentrations <110 mg/dL.Reference: William's obstetrics; 25th edition; Chapter 57; Diabetes